Whiff test is positive in:
1. Candidians
2. Chlamydial infection
3. Trichomonas vaginitis
4. HSV infection

Correct answer: 3. Trichomonas vaginitis

Explanation: Ans. is c, i.e. Trichomonas infectionRef: Williams Gynae 3rd/ed, p52* Whiff Test:Vaginal discharge +10% KOH gives a Fishy odour.This test is characteristic of BV with vaginal pH >4.5 and this stems from diminished acid production by bacteria.Similarly Trichomonas vaginals infection is also associated with anaerobic overgrowth & resultant elaborated lamines.Thus women diagnosed with bacterial vaginosis should have no microscopic evidence of trichomoniasis